Microtubule formation is inhibited by :
1. Paclitaxel
2. Vincristine
3. Etoposide
4. Irinotecan

Correct answer: 2. Vincristine